Which of the following parenteral anticoagulants is a dual coagulation factor inhibitor?
1. Clavatadine
2. Tifacogin
3. Tanogitran
4. Flovagatran

Correct answer: 3. Tanogitran

Explanation: ClavatadineXla inhibitorTifacoginVIIa inhibitorTanogitranDual IIa/Xa inhibitorFlovagatranIIa inhibitor